True about epidural anaesthesia in pregnancy – a) Given through subarachnoid spaceb) Increases cardiac outputc) Decreases venous returnd) Venous poolinge) Decreased placental circulation
1. ab
2. bc
3. cd
4. ac

Correct answer: 3. cd

Explanation: In epidural anesthesia, local anesthetic is injected into epidural (extradural) space (not in subarachnoid space).
Epidural anesthesia causes venodilatation with venous pooling of blood that results in decreased venous return → decreased cardiac output and hypotension.
Hypotension from regional anesthesia can decrease uterine blood flow, However in the absence of hypotension neither epidural nor spinal anesthesia have any effect on the uterine blood flow and placental circulation.